Transplantation that requires all cellular components to be irradiated prior to transfusion
1. Heart
2. Liver
3. Bone marrow
4. Lung

Correct answer: 3. Bone marrow

Explanation: .Indications for bone marrow transplantation includes, * Leukaemias. * Aplastic anaemias. * Immune deficiencies etc.Recipients are initially treated with total body irradiation. As bone marrow is an active immune system, proper tissue typing is essential. Infant bone marrow is better marrow as a donor. Marrow aspirated from donor's bone is transplanted by intravenous injection to the recipient. Immunosuppression with cyclosporin-A is always needed. It will take few weeks to show the response. ref:SRB;s manual of surgery,ed 5,pg no 338